All are true about posteromedial surface of kidney, EXCEPT:
1. Surface is covered with peritoneum
2. The upper pole of the right kidney is level with the twelfth rib
3. The upper pole of left kidney is level with the eleventh and twelfth ribs
4. None of the above

Correct answer: 1. Surface is covered with peritoneum

Explanation: The posteromedial surface of the kidneys is embedded in fat and devoid of peritoneum. It is anterior to the diaphragm, the medial and lateral arcuate ligaments, psoas major, quadratus lumborum and the aponeurotic tendon of transversus abdominis, the subcostal vessels and subcostal, iliohypogastric, and ilioinguinal nerves. The upper pole of the right kidney is level with the twelfth rib, and that of the left with the eleventh and twelfth ribs. Ref: Gray's anatomy 40th edition, Chapter 91.